Ocular dipping is seen in
1. Pontine damage
2. Medulla damage
3. Diffuse cortical damage
4. Mid brain damage

Correct answer: 3. Diffuse cortical damage

Explanation: "Ocular bobbing" describes brisk downward and slow upward movements of the eyes associated with loss of horizontal eye movements and is diagnostic of bilateral pontine damage, usually from thrombosis of the basilar artery."Ocular dipping" is a slower, arrhythmic downward movement followed by a faster upward movement in patients with normal reflex horizontal gaze; it usually indicates diffuse cortical anoxic damage.Reference: Harrison's Principles of Internal Medicine; 19th edition; Chapter 328; Coma